Which of the following is not bacteriostatic:-
1. Linezolid
2. Clindamycin
3. Vancomycin
4. Erythromycin

Correct answer: 3. Vancomycin

Explanation: Important bactericidal drugs are: * Vancomycin * Beta-lactams * Flouroquinolones * Aminoglycosides(are the only protein synthesis inhibitors which are bacteriocidal) Rest others are bacteriostatic. Linezolid, Clindamycin and Erythromycin(Macrolide) are protein synthesis inhibitors which are bacteriostatic.